A woman has a bilateral headache that worsens with emotional stress; she has two children, both doing badly in school; diagnosis is
1. Migraine
2. Cluster headache
3. Tension headache
4. Trigeminal neuralgia

Correct answer: 3. Tension headache

Explanation: A tension-type headache (TTH) is a syndrome characterized by bilateral tight, band-like discomfort, builds slowly, fluctuates in severity, episodic or chronic (present >15 days per month).Usually occurs without accompanying features such as nausea, vomiting, photophobia, phonophobia, osmophobia, throbbing, and aggravation with movement. Ref: Harrison's 18/e p121,122